1st sign of Burst abdomen is
1. Bleeding at the site
2. Serpsangerinous drainage
3. Pain at the site
4. None of the above

Correct answer: 2. Serpsangerinous drainage

Explanation: Wound dehiscence is also known as Burt Abdomen. Its first sifn is serous or Serosangesinous drainage.